The most likely complication of insulin therapy in ketoacidosis is:
1. Dilutional hyponatremia
2. Hypoglycemia
3. Increased bleeding tendency
4. Pancreatitis

Correct answer: 2. Hypoglycemia